Minimal change glomerulopathy may be seen in association with all of the following except-
1. Hepatitis B
2. HIV
3. drug- induced interstitial nephritis
4. Hodgkin's disease

Correct answer: 1. Hepatitis B

Explanation: Following the landmark discovery in 1965 of the Australian antigen, subsequently renamed the hepatitis B surface antigen (HBsAg), Combes and coworkers first described the occurrence of membranous nephropathy (MN) due to glomerular deposition of Australian antigen-containing immune complexes in a 53-year-old man in 1971.Different histological types of glomerular lesions have since been described in association with HBV infection; however, the most striking is still MN Ref Harrison20th edition pg 287